Force generating proteins are:
1. Myosin and myoglobin
2. Dynein and kinesin
3. Calmodulin and G protein
4. Troponin

Correct answer: 2. Dynein and kinesin

Explanation: Ans. (b) Dynein and kinesin(Ref: Ganong, 25th ed/p.39)The force-generating apparatus of microtubules are dynein and kinesinDynein and kinesin are also called as molecular motors that aids in axonal transport in neurons